Under the programme of control and prevention of anemia by RCH (Rural child health) what dosage of Iron and Folic acid tablets are given?
1. 20 mg iron & 0.1 mg folic acid
2. 40 mg iron & 100 micrograms folic acid
3. 40 mg iron & 50 micrograms folic acid
4. 60 mg iron & 0.1mg folic acid

Correct answer: 1. 20 mg iron & 0.1 mg folic acid

Explanation: Iron deficiency anemia is widely prevalent in young children. The National family health Survey II (1998-99) revealed that 74.3% of children under the age of 3 years were anemic. Under this programme of control & prevention of anemia, tablets containing 20 mg of elemental Iron & 0.1mg of folic acid are provided at sub-centre level. Ref: Park, 20th Edition, Page 383